False about Cherubism
1. Unilocular lesion
2. Bilateral
3. Presence of Giant cell
4. Delayed eruption of Permanent teeth

Correct answer: 1. Unilocular lesion